Lower Lip carcinoma <1 cm treatment is
1. RT
2. Chemotherapy
3. Surgical excision
4. RT + CT

Correct answer: 3. Surgical excision

Explanation: Ans. (c) Surgical excisionRef: Bailey and Love 27th edition Page 768Lip cancer management.Smaller Tumors <2cm)* Excision by V or W shaped under Local or General Anaesthesia.* Defect of less than 1 /3rd defect is closed by primary closure in 3 layers - Mucosa, Muscle, Skin.Intermediate Tumors:* 1 /3rd to 2/3rd defect happens- Local flaps must be used like Johansen Step ladder flapTotal Lip Reconstruction:* T 4 lesions needs complete Excision of Lip.* Radial forearm free flap or Perforator flaps such as Antero lateral Thigh or Medial Sural Artery Perforator (MSAP) free flap.